Suprasternal space contains the following structures except:
1. Jugular Arch
2. Anterior Jugular Vein
3. Sternal head of Sternocleidomastoid
4. External Jugular Vein

Correct answer: 4. External Jugular Vein

Explanation: The suprasternal space (of Burns) is a space of the inferior neck.
Gross anatomy
Inferior to the hyoid bone, the superficial or investing layer of the deep cervical fascia divides into anterior and posterior leafs to attach to the respective borders of the suprasternal (jugular) notch, forming a small space-2 cm superior to the manubrium.
Contents

Sternal head of the sternocleidomastoid muscle
Anterior jugular vein anastomoses
Lymph nodes, considered part of level VI
Interclavicular ligament.